Vitamin B12 is found maixmum in:
1. Animal products
2. Green leafy vegetables
3. Roots and tubers
4. Sunlight

Correct answer: 1. Animal products

Explanation: Vitamin B12 Synthesized exclusively by microbes. Dietary sourceis exclusively ofanimal origin Vitamin B12deficiency clinical manifestations: Haematological: Megaloblastic anemia, Hypersegmentation of neutrophils. Neurological: Demyelination in peripheral nerves and spinal cord